End of ameloblast represents
1. Pits
2. Enamel Caps
3. Enamel brocks
4. None of the above

Correct answer: 1. Pits